Masticatory space constitutes the following spaces except:
1. Pterygomandibular space
2. Submassetric space.
3. Submandibular space.
4. Temporal space

Correct answer: 3. Submandibular space.

Explanation: Masticatory space consists of sub masseteric space, pterygomandibular space, superficial and deep temporal spaces/pouches.